Magistrate inquest is done in case of -
1. Death by suicide
2. Death by accident
3. Death in psychiatry hospital
4. Death in suspicious circumstances

Correct answer: 3. Death in psychiatry hospital

Explanation: MAGISTRATE INQUEST: Is done in death in police custody death in police firing death in the police investigation dowry death death in a psychiatric hospital exhumation rape REF: The Synopsis of Forensic Medicine and Toxicology 29th edition page no: 3.